First radiological sign in acute osteomyelitis is:
1. Soft tissue swelling
2. Periosteal reaction
3. Sequestrum
4. Involucrum

Correct answer: 1. Soft tissue swelling

Explanation: Soft tissue swelling